Superficial epigastric artery is a branch of?
1. Internal pudendal artery
2. External pudendal artery
3. Internal iliac artery
4. Femoral artery

Correct answer: 4. Femoral artery

Explanation: Ans. is 'd' i.e., Femoral artery Branches of femoral artery 1) Superficial :- Superficial external pudendal, superficial epigastric, superficial circumflex iliac. 2) Deep branches :- Profunda femoris, deep external pudendal, muscular branches, descending genicular branch (last branch in the adductor canal). Note: Superior epigastric artery is a branch of internal thoracic artery.